Which of the following technique is not based on the buccal flaps in the management of oro-antral fistula?
1. Rehrmann Flap
2. Ashley Flap
3. Moczain Flap
4. Burger Flap

Correct answer: 2. Ashley Flap